Efalizumab is used in treatment of:
1. Acne vulgaris
2. Atopic dermatitis
3. Psoriasis
4. All of the above

Correct answer: 3. Psoriasis

Explanation: Efalizumab (Raptiva) is an immunosuppressive recombinant humanized IgG1 kappa isotype monoclonal antibody that binds to the CD11a subunit of leukocyte function antigen-1. This binding affects the activation, adhesion, and migration of T lymphocytes. The recommended dosage in psoriasis is a single 0.7 mg/kg subcutaneous injection conditioning dose followed by weekly subcutaneous injections of 1 mg/kg not to exceed a maximum single dose of 200 mg. Ref: Katzung 11th edition Chapter 61.